In the body, metabolism of 10 gms. of protein would produce approximately
1. 1 K. Caorie
2. 41 K calories
3. 410 K calories
4. 41 calories

Correct answer: 2. 41 K calories

Explanation: Calorific value of nutrientsNutrientEnergy yield kcal/gramEnergy yield kjoule/gramRQ Carbohydrates4161 Fat937.71 Protein4.217.81 Alcohol728.66 Ref: Textbook of biochemistry (DM Vasudevan ), 6th edition, page no. 432